Which of the following features on mammogram would suggest malignancy –
1. Well defined lesion
2. A mass of decreased density
3. Areas of speculated microcalcifications
4. Smooth borders

Correct answer: 3. Areas of speculated microcalcifications